Management of typical febrile seizures include all EXCEPT:
1. Sponging
2. Paracetamol or ibuprofen
3. Intermittent diazepam
4. Prophylactic phenobarbitone

Correct answer: 4. Prophylactic phenobarbitone

Explanation: Measures to lower temperature (in a child with fever) like paracetamol and sponging and intermittent prophylaxis with Diazepam or Clobazam are used in the treatment of typical febrile seizures.